Ganglion associated with lacrimal gland:
1. Sphenopalatine (pterygo palatine)
2. Otic ganglion
3. Submandibular
4. Ciliary

Correct answer: 1. Sphenopalatine (pterygo palatine)